Which of the following is NOT true for a smooth muscle?
1. no Z-discs present
2. Actin : myosin ratio = 2 : 1
3. The contraction is "thick filament-driven"
4. "Latch bridge" observed.

Correct answer: 2. Actin : myosin ratio = 2 : 1

Explanation: There are no Z-lines in smooth muscle. Z-lines are replaced with dense bodies. Thin : thick filament ratio is 15 : 1. When Ca2+ combines with calmodulin, there is activation of the enzyme myosin light chain kinase (MLCK), and the actin-myosin interaction can begin. Myosin light chains in the thick filament thus regulates the contraction. "Latch-bridge" phenomenon causes smooth muscle to develop sustained tension for a lesser energy consumption.